By 2022, every rural person in the country will have access to ___ lpcd within their household premises or at a horizontal or vertical distance of not more than ___ meters from their household without barriers of social or financial discrimination:-
1. 100 and 100
2. 50 and 50
3. 50 and 70
4. 70 and 50

Correct answer: 4. 70 and 50

Explanation: Ministry of Drinking water and Sanitation Government of India. The Ministry has prepared a Strategic Plan for the rural drinking water sector for the period 2011 to 2022. The Goal of the Strategic Plan is: To ensure, that every rural person has enough safe water for drinking, cooking and other domestic needs as well as livestock throughout the year including during natural disasters and by 2022, every rural person in the country will have access to 70 lpcd within their household premises or at a horizontal or vertical distance of not more than 50 meters from their household without barriers of social financial discrimination. Individual States can adopt higher quantity norms, such as 100 lpcd.